Alpha fetoprotein is a marker of
1. Hepatoblastoma
2. Seminoma
3. Renal cell carcinoma
4. Choriocarcinoma

Correct answer: 1. Hepatoblastoma

Explanation: Ref Robbins 8/e p 327; 7/e P339,9/e p869_870 AFP is Glycoprotein synthesized in fetal life by yolk sac,fetal liver,fetal GIT.It is a marker of hepatocellular carcinoma,non seminomatous germ cell tumor Of testis Elevated level of AFP Is found less regularly in carcinoma of lung,colon, pancreas IImpoant points about hepatoblastoma arising from hepatic parenchymal cells The most common tumor in Child hood A characteristic features of hepatoblastoma is frequent activation of WTN/catenin signalling pathway,by stabilizing mutation of beta catenin,contributes to the process of carcinogenesis